Which one of the following skeletal muscle relaxants causes pain on injection?
1. Succinyl choline
2. Vecuronium
3. Rocuronium
4. Pancuronium

Correct answer: 3. Rocuronium

Explanation: Rocuronium causes pain on injection. It can be minimized by alkalinizing the solution. Remember, post-operative muscular pain is caused by succinylcholine